All are true regarding treatment of Guillain-Barre syndrome except-
1. Corticosteroid used for early recovery and prevent long stay
2. High dose intravenous immune globulin (IVIg) can be initiated
3. Plasmapheresis can be done
4. High-dose intravenous immune globulin (IVIg) and plasmapheresis are equally effective

Correct answer: 1. Corticosteroid used for early recovery and prevent long stay

Explanation: Harrison's principles and practices of medicine 22 edition. *Active treatment with plasma exchange (plasmapheresis)or intravenous immunoglobulin therapy shortens the duration of ventilation and improves prognosis in case of GBS. In severe GBS,i.v Ig started within 2 weeks of onset hasten recovery as much as plasmapheresis In mild GBS,2 session of plasmapheresis In moderate ,4session is significantly superior to 2 .